What is the persistent remnant of axial artery of upper limb ?
1. Radial artery
2. Ulnar artery
3. Anterior interosseus artery
4. Posterior interosseous artery

Correct answer: 3. Anterior interosseus artery

Explanation: The persistent median artery of the forearm is a continuation of the common or anterior interosseous artery and accompanies the median nerve as it passes through the forearm and carpal tunnel . It is unilateral ~67% of the time and is associated with anomalous median nerves ~70% (range 63-80%) of the time - most commonly bifid median nerves followed by high division of the median nerve. The persistent median artery is contained within the epineurium of the normal or bifid median nerve. The persistent median artery is located on the ulnar aspect of the normal median nerve but if the median nerve is bifid the persistent median artery is located between the two nerve bundles . Ref - radiologyassistant.com